Cremastric muscle is supplied by:
1. Ilioinguinal nerve
2. Iliohypogastric nerve
3. Genital branch of genitofemoral nerve
4. Femoral branch of genitofemoral nerve

Correct answer: 3. Genital branch of genitofemoral nerve

Explanation: Ans: c (Genital br. of genitofemoral nerve) BDC, Vol-2,4th ed, p. 202BRIDGEAspiration of any fluid from pleural cavity is called paracentesis thoracis. Usually done in the 8th intercostalCremastric muscle:Muscle fasciculi embedded in cremastric fascia.Laterally attached to inguinal ligament, medially to pubic tubercle, crest, conjoint tendon.N/S: genital branch genitofemoral of nerve.Action:Elevates testis.Closes superficial inguinal ring when intra abdominal pressure increases.Pyramidalis:From the body of pubis to linea alba.N/S: sub costal nerve (T12)Action: Tensor of linea alba.Cremastric reflex (LI)Afferent: femoral branch of genitofemoral nerve.Efferent: genital branch of genitofemoral nerve.